Salt and pepper dyschromatosis is seen in:
1. Dermatofibrositis
2. Scleroderma
3. SLE
4. Psoriasis

Correct answer: 2. Scleroderma

Explanation: Ans. B: Scleroderma Skin changes in scleroderma: Skin pigmentary changes include a salt-and-pepper appearance, with areas of hyperpigmentation alternating with hypopigmentation, or an overall appearance of tanned skin that persists long after sun exposure Telangiectasias are dilated vessels located just beneath the dermis on any skin area, but they are most obvious in the face (perioral area), hands, and anterior chest. The skin of the hands may be edematous or swollen early in the disease, and the patient may initially report this as puffy changes. This edematous stage precedes the indurated sclerotic stage; longer time to progression to the sclerotic phase indicates a better prognosis. In the sclerotic phase, the skin may appear tight and shiny, with a characteristic loss of hair, decreased sweating, and loss of the ability to make a skin fold. Calcinosis may develop on the fingers and extremities, usually the extensor side of the forearms and the prepatellar areas